Age at which a child can tell gender?
1. 2 years
2. 3 years
3. 4 years
4. 5 years

Correct answer: 2. 3 years

Explanation: Milestones at 3 years of age( most of these have been asked in previous years)

Can tell age gender and recall story
Rides tricycle
Stands momentarily on one foot
Makes a tower of 10 cubes; imitates construction of “bridge” of 3 cubes
Copies circle
Imitates cross
Plays simple games (in “parallel” with other children)
Helps in dressing (unbuttons clothing and puts on shoes)
Washes hands